Following occurs in living cells only?
1. Simple diffusion
2. Facilitated diffusion
3. Osmosis
4. Active transport

Correct answer: 4. Active transport

Explanation: Ans. is 'd' i.e., Active transport"Because the formation and breakdown of ATP require cell activity, active transport mechanisms occur through living membranes."Active transport require energy (ATP). Energy is produced in living cells. Therefore, active transport is possible only in living cells.